All can take split thickness graft except ?
1. Fat
2. Muscle
3. Skull bone
4. Deep fascia

Correct answer: 3. Skull bone

Explanation: Ans is 'c' ie Skull "The skin graft must be applied to a well-vascularized recipient wound bed. It will not adhere to exposed bone, cartilage, or tendon devoid of periosteum, perichendrium or peritenon, respectively, or devoid of its vascularized perimembranous envelope." - Sabiston I7/e p 2185